A children presents with running nose, breathlessness, family history positive, Most likely diagnosis is –
1. Bronchiolitis
2. Viral pneumonia
3. Bronchial asthma
4. None

Correct answer: 3. Bronchial asthma

Explanation: Except for bronchial asthma, no other option will have family history (+) ye.